True for Bochdalek hernia:
1. Commonly occurs on the right side
2. Congenital disorder
3. Anterior position
4. Breathing difficulty in newborns from day 2-3

Correct answer: 2. Congenital disorder

Explanation: Ans. B. Congenital disorderBochdalek hernia is the other name for congenital diaphragmatic hernia. It is a posterior (and not anterior) congenital defect of the diaphragm and is primarily due to lack of closure of the pleuroperitoneal cavity between the eighth and tenth week of embryonic life. Majority of cases occur on the left side. Affected newborns frequently present with breathing difficulty, particularly within the first few hours of life.